All of the following tumors are malignant except -
1. Glioma
2. Astrocytoma
3. Hemangioblastoma
4. Ependymoma

Correct answer: 3. Hemangioblastoma